Which of the following is 2nd generation IUD-
1. Progestasert
2. Mirena
3. CuT-200
4. Lippe's loop

Correct answer: 3. CuT-200

Explanation: park's textbook of preventive and social medicine 23rd edition. *copper bearing devices are under second generation :CuT 200,CuT 220C, CuT 380A ,ML-Cu-250,ML-Cu-375.